Skull of a male differs from that of a female by all of the following except -
1. Capacity greater than 1500 c.c
2. Muscular markings over occiput are less marked
3. Orbits square
4. Frontal eminence small

Correct answer: 2. Muscular markings over occiput are less marked

Explanation: As a general rule, muscular markings are more prominent and marked on male skeleton.

Capacity of male skull is 1500-1550 cc.
Orbits of male’s are square and frontal eminences are small.